UMN includes
1. Pyramidal cells
2. Peripheral nerves
3. Anterior horn cells
4. Glial cells

Correct answer: 1. Pyramidal cells

Explanation: Upper motor neuron- Pyramidal cells, corticospinal tract, corticobulbar tract, extrapyramidal tracts.